Thalidomide acts through :
1. Inhibiting angiogenesis
2. Inhibiting thymidylate synthase
3. Inhibition of Topo–isomerase I
4. Inhibition of Topo–isomerase II

Correct answer: 1. Inhibiting angiogenesis